Confabulation is typically seen in:
1. Mania
2. Depression
3. Alcoholism
4. Delirium

Correct answer: 3. Alcoholism

Explanation: C ref: Ahuja, 4th/e p. 37 and 5th/e p. 40